Which is not a high energy molecule?
1. ATP
2. Carbamoyl phosphate
3. Glucose-6-phosphate
4. Arginine phosphate

Correct answer: 3. Glucose-6-phosphate

Explanation: HIGH ENERGY COMPOUNDS ARE 1. Nucleotides: (ATP, GTP, UTP, UDP-glucose) ATP to AMP + PPi ATP to ADP + Pi 2. Creatine phosphate 3. Arginine phosphate 4. 1,3-bisphosphoglycerate 5. Phosphoenolpyruvate 6. Inorganic pyrophosphate 7. Carbamoyl phosphate 8. Aminoacyl adenylate (aminoacyl AMP) Sulfur Compounds 9. CoA derivatives: Acetyl CoA- 45.6 kj- 30.5- 43.1- 49.4- 61.9- 7.3- 51.4 Succinyl CoA Fatty acyl CoA HMG CoA 10.S-adenosylmethionine (SAM) 11.Adenosine phosphosulfate (active sulfate). HIGH ENERGY COMPOUNDS These compounds, when hydrolyzed, will release a large quantity of energy, that is, they have a large DG0&;'. The high energy bond in compounds is usually indicated by a squiggle bond (~). The free energy of hydrolysis DG0' of an ordinary bond varies from -1 to -6 kcal/mol. For example, glucose-6-phosphate has a free energy of only 13.8 kJ/mol (-3.3 kcal/mol). On the other hand, the free energy of high energy bonds varies from >25 kJ/mol (-7 to -15 kcal/ mol).Ref: DM Vasudevan Textbook of Medical Biochemistry, 6th edition, page no: 226